A 9-year-old boy is brought with history of decreased urine output, cola colored urine and swelling of the face and hands, of 2 days duration. He is hypertensive, has a puffy face and pitting edema of the lower limbs. He has history of skin lesions 4 weeks earlier. A diagnosis of post streptococcal glomerulonephritis is made. ASLO titers are likely to be?
1. Elevated
2. Not elevated
3. Increased progressively over 2 weeks
4. Initially elevated, rapidly fall in 3-4 days

Correct answer: 2. Not elevated

Explanation: b. Not elevated(Ref: Nelson 20/e p 2500-2501, Ghai 8/e p 474-477)Lab Diagnosis of PSGN;Serum C3 level is reduced in >90% of patients in acute phase of PSGN, and returns to normal in 6-8 wkConfirmation of the diagnosis requires evidence of a prior streptococcal infection eg positive throat culture or rising antibody titer to streptococcal antigen (s)Antistreptolysin O titer is commonly elevated after a pharyngeal infection but rarely increases after streptococcal skin infections.Q (as in this case)Best single antibody to document cutaneous streptococcal infection is anti-deoxyribonuclease (DNase) B level